Oxygen dissociation curve shifts to right in all except:
1. Diabetic ketoacidosis
2. Blood transfusion
3. High altitude
4. Anaemia

Correct answer: 2. Blood transfusion

Explanation: B i.e. Blood transfusion